Controlled tipping is used as a disposal method for which of the following?
1. Sewage
2. Sullage
3. Refuse
4. Human excreta

Correct answer: 3. Refuse

Explanation: Controlled tipping or sanitary landfill is the most satisfactory method of refuse disposal when suitable land is available. 3 methods used in this are trench method, ramp method and area method. Composting is a method of combined disposal of refuse and night soil or sludge.